Endoscopic sinus surgery prerequisite?
1. MRI of paranasal sinus
2. CT of PNS
3. Mucocilliary clearing testing
4. Acoustic tests

Correct answer: 2. CT of PNS

Explanation: Ans. is 'b' i.e., CT of PNS Endoscopic surgery of inflammatory diseases of paranasal sinuses (sinusitis or polyp) requires a very detailed preoperative knowledge of the individual anatomical conditions and pathological changes. CT scan are used best to visualize sinus areas. CT scan provides excellent definition of paranasal sinuses and is a prerequisite for endoscopic surgery. "CT scan limited study coronal cuts in bone window is prerequisite for endscopic sinus surgery"----Mohan Bansal